Colorado stain is related to
1. Fluorosis
2. Intrinsic Stain
3. Extrinsic Stain
4. Hidden Caries

Correct answer: 1. Fluorosis